According to the WHO classification of Periradicular  diseases periapical abscess with sinus to the oral cavity is coded as:
1. K04.60
2. KO4.61
3. K04.62
4. KO4.63

Correct answer: 3. K04.62